The following statements are true regarding melioidosis except:
1. It is caused by Burkholderia mallei
2. The agent is a gram-negative aerobic bacteria
3. Bipolar staining of etiological agent is seen with methylene blue
4. The most common form of melioidosis is pulmonary infection

Correct answer: 1. It is caused by Burkholderia mallei

Explanation: Ans. is 'a' i.e., It is caused by Burkholderia mallei(Ref: Jawetz, 24th/e, p. 265; Harrison, 19th/e, p. 1042, 1070; Ananthanarayan, 9th/e, p. 314, 319)Causative agent of Melioidosis (Vietnam time bomb disease) is Burkholderia pseudo mallei and most common form of Melioidosis is pulmonary infection. It is also known as Pseudomonas pseudo mallei/Whitmore's bacilli.